Which of the following is primordial prevention for non communicable Disease
1. Salt restriction in high NCD area
2. Smoking cessation in high NCD area
3. Preservation of traditional diet in low NCD area
4. Early diagnosis & Treatment

Correct answer: 3. Preservation of traditional diet in low NCD area

Explanation: Primordial prevention aims at preventing emergence of risk factors.
This is primary prevention in its purest sense, that is, prevention of emergence or developments of risk factors in countries or population groups in which they have not yet appeared.